All are precancerous for carcinoma bladder except -a) Tuberculosis bladderb) Aniline dyesc) Schistosomiasisd) Chronic ulcer
1. b
2. ad
3. ac
4. ab

Correct answer: 2. ad